Hepatitis B virus is associated with-
1. SLE
2. Polyarteritis nodosa
3. Sjogren's syndrome
4. Wegener granulomatosis

Correct answer: 2. Polyarteritis nodosa